Most common cause of singer's nodule is -
1. Infection
2. Allergy
3. Vocal abuse
4. None

Correct answer: 3. Vocal abuse

Explanation: Ans. is 'c' i.e., Vocal abuse Vocal nodule (singer's or screamer's nodule)o Vocal nodule are benign noneoplastic growth on free edge of both the vocal cords at the junction of anterior 1/ 3 with posterior 2/3.o This area is particularly vulnerable to trauma as this is the area of maximum vibration of the cord.o The major cause is voice abuse, therefore it is most commonly seen in singers, actors, teachers, and howkers.o Hoarseness is the most common symptom. Vocal fatigue and pain in neck on prolonged phonation are other symptoms.Treatmento Early cases of vocal nodules can be treated conservatively by educating the patient in proper use of voice. Many nodules especially in children, disappear with this treatment.o Surgery is required for large nodules or long standing nodules in adults. Microscopic (micorlaryngoscopic) excision is the treatment of choice.